Punctate basophilia is characteristically seen in
1. Lead poisoning
2. Acute myeloid leukaemia
3. Chronic myeloid leukaemia
4. Megatoblastic anaemia

Correct answer: 1. Lead poisoning